Number of holes per square inch of mosquito net is:
1. 100
2. 150
3. 250
4. 350

Correct answer: 2. 150

Explanation: 150